Major ions in ECF are:
1. Sodium and phosphate
2. Potassium and chloride
3. Sodium and chloride
4. Potassium and phosphate

Correct answer: 3. Sodium and chloride